Not a histological feature of lichen planus is –
1. Acanthosis
2. Hyperkeratosis
3. Neutrophils in stratum
4. Pigment incontinence

Correct answer: 3. Neutrophils in stratum

Explanation: Histopathology in Lichen planus

The basic pathology in lichen planus is the damage to the basal cell layer of epidermis leading to hydropic degeneration of basal cells.
Epidermal thickening especially of granular cell layer → Hypergranulosis.
Hyperkeratosis (Thickening of stratum comuem)
Acanthosis (Thickening of Stratum) malpighi.
Subepidermal - lichenoid band due to deposition of lymphocytes & histiocytes in upper dermis.
Dropping of melanin pigment from damaged keratinocytes of epidermis into dermis → pigment incontinence.
This melanin is engulfed by macrophages which results information of cytoid bodies (civatte or colloid bodies).
Mox Joseph Histological cleft → Separation of epidermis in small clefts.